The defect in Glanzmann's thrombasthenia is -
1. Gp IIb-IIIa
2. Gp IIa-IIb
3. Gp IIa-IIIb
4. Gp IIIb-IIa

Correct answer: 1. Gp IIb-IIIa

Explanation: Ans. is 'a' i.e., Gp IIb-IIIa